All of the following are formed by neural crest cellsEXCEPT ?
1. Pharyngeal arch bones
2. Dermis of head and neck
3. Pharyngeal arch muscles
4. Odontoblasts

Correct answer: 3. Pharyngeal arch muscles

Explanation: Neural crest cell (4th germ layer) derivatives PNS (includes ganglia) secondary mesenchyme/ mesoderm - most of skull bones (head and neck anterior and lateral regions) , most of eye ball mesoderm, pharyngeal arch bones aorta pulmonary septum dermis of head and neck odontoblasts